Most sensitive investigation for air embolism is
1. Decreased tidal volume of CO2
2. Decreased tidal volume of NO2
3. Doppler ultrasound
4. Central Venous Presure

Correct answer: 3. Doppler ultrasound

Explanation: C i.e. Doppler Ultrasound